CAMP test is positive for-
1. Group A streptococcus
2. Group B streptococcus
3. Group C streptococcus
4. Group D streptococcus

Correct answer: 2. Group B streptococcus

Explanation: Ans. is 'b' i.e., Group B streptococcus Medically important streptococci and their characteristicsSpecies or common nameLancefield groupHemolysisHabitat in human hostsLaboratory testCommon diseases causedStr. PyogenesAbetaThroat,skinBacitracin sensitive;PYR test positive;Ribose not fermentedUpper respiratory tract infection; pyoderma; rheumatic fever; glomerulonephritisStr. agalactiaeBbetaFemalegenitaltract,rectumCAMP test, hippuratehydrolysisNeonatal menigitis, septicemiaStr. equisimilisCbetaThroatRibose and trehalose fermentationPharyngitis, endocarditisStr. anginosusA,C,F,G untvpablebeta (alpha, gamma)Throat colon female genital tractGroup A strains bacitracin resistantPYR negative;Minute colony variants of other groupsPyogenic infectionsEnterococcus sp.(Str. faecalis and other enterococci)DGamma(alpha,beta)ColonGrowth in 6.5% NaCl; PYR positiveUrinary tract infections, endocarditis,Suppurative infectionsNonenterococcalGroup D species(Str. bovis)DGammaColonNo growth in 6.5% NaClEndocarditisViridans steptococci (many species)No typedalpha (gamma)Mouth colon, female genital tractOptochin resistantSpecies classification on biochemical propertiesEndocarditis (Str. sanguis): dental caries (Str. mutans)